Prostate Cancer spreads to the vertebral column via?
1. a Batson plexus
2. b Inferior hypogastric plexus
3. c Superior hypogastric plexus
4. d All of above

Correct answer: 1. a Batson plexus

Explanation: Ans. (a) Batson plexusRef: Bailey & Love 26th ed. 1527The Batson venous plexus is a network of valve-less veins in the human body that connect the deep pelvic veins and thoracic veins to the internal vertebral venous plexuses. Because of their location and lack of valves, they are believed to provide a route for the spread of cancer metastases. These metastases commonly arise from cancer of the pelvic organs such as the rectum and prostate and may spread to the vertebral column or brain. There is less evidence of spread of cancers from extra-pelvic origins, such as lung cancer.